Which of the following is the least vascular part of uterus :
1. Lateral
2. Middle
3. Upper
4. Lower

Correct answer: 2. Middle

Explanation: Middle